Crofelemer is a
1. Chloride channel activator
2. CFTR blocker
3. Somatostatin antagonist
4. Guanylate cyclase agonist

Correct answer: 2. CFTR blocker

Explanation: Crofelemer blocks CFTR and chloride channels and is approved for relieving symptoms of diarrhoea is AIDS patients on antiretroviral therapy.